Hyaline cartilage of respiratory tree extends up to:
1. Tertiary bronchiole
2. Secondary bronchiole
3. Terminal bronchiole
4. Bronchi

Correct answer: 4. Bronchi

Explanation: Hyaline cartilage extends till the bronchi and are absent (or scatteredly present) distally in the bronchioles.
Goblet cells also extend till bronchus level; beyond that they are present scatteredly.